Fundus fluorescein angiography done in a patient following cataract surgery shows a flower petal pattern. What is he MOST likely suffering from?
1. Macular hole
2. Cystoid macular edema
3. Central serous retinopathy
4. None of the above

Correct answer: 2. Cystoid macular edema

Explanation: He is showing features of cystoid macular edema. Cystoid macular edema refers to a condition in which there is fluid accumulation in honeycomb like spaces of the outer plexiform and inner nuclear layers. Fluorescein angiography done shows leakage of fluorescein dye from the perifoveal retinal capillaries and peripapillary region, and accumulating in a flower-petal pattern around the fovea. It most frequent occur following cataract surgery, especially if the surgery was complicated or prolonged. It usually manifests at 4-12 weeks postoperatively. Ref: Fletcher E.C., Chong N., Augsburger J.J., Correa Z.M. (2011). Chapter 10. Retina. In P. Riordan-Eva, E.T. Cunningham, Jr. (Eds), Vaughan & Asbury's General Ophthalmology, 18e